Menke's disease is due to defect in the metabolism of:
1. Zinc
2. Copper
3. Selenium
4. Iron

Correct answer: 2. Copper

Explanation: b. Copper(Ref: Nelson 20/e p 344)In Menke's disease, the defective protein is a copper-binding ATPase (ATP7A), responsible for distribution & metabolism of copper in tissues.